In benign hypertension commonest vascular pathology is -
1. Atherosclerosis
2. Fatty infilitraion of intima
3. Fibrnoid necrosis
4. Hyaline arteriosclerosis

Correct answer: 4. Hyaline arteriosclerosis